The commonest cause for neuralgic pain in the foot is -
1. Compression of comunication between medial and lateral planter nerves
2. Exaggeration of longitudinal arches
3. Injury to deltoid ligament
4. Shortening of planter aponeurosis

Correct answer: 1. Compression of comunication between medial and lateral planter nerves

Explanation: "Most series describe patients with pain, burning, paresthesia or numbness in the sole of the foot, sometimes confined to the territory of the medial or lateral planter nerve".